Plasma half life of carbimazole -
1. 4 hours
2. 8 hours
3. 16 hours
4. 24 hours

Correct answer: 2. 8 hours

Explanation: Ans. is 'b' i.e., 8 hours o Half life of propylthiouracil : 1-2 hours o Half life of carbimazole : 6-10 hours